Which of the following antimicrobial shows time dependent killing?
1. Ofloxacin
2. Amikacin
3. Penicillin
4. Ciprofloxacin

Correct answer: 3. Penicillin

Explanation: Bactericidal agents can be divided into two groups: Agents that exhibit concentration-dependent killing (e.g. aminoglycosides and quinolones) Agents that exhibit time-dependent killing (e.g., b lactams and vancomycin).